A farmer presents with multiple discharging sinuses in the leg not responding to antibiotics. Most likely diagnosis is :
1. Madurella
2. Actino-mycetoma
3. Nocardia
4. Sporothrix

Correct answer: 1. Madurella

Explanation: Ans. is 'a' madurella This is a case of Mycetoma (or Madura foot)Mycetoma is of 2 typesAbout the t/t, Harrison states * "Actinomycetoma may respond to prolonged combination chemotherapy e.g with streptomycin and either dapsone or trimethoprim-sulfamethoxazole "About t/t of eumycetoma it adds "eumycetoma rarely responds to chemotherapy in some cases caused by Madurella mycetoma have appeared to respond to ketoconazole or itraconazole "Thus RememberAlso, RememberThe granules from the draining sinuses are microcolonies of the organism*.The color of the granule may provide information about the agent eg-White to yellow -Actinomycotic mycetoma* Dark red to black granules-Madurella mycetomatis*